Hilton method is best used in -
1. Breast abscess
2. Axillary abscess
3. Paronychia
4. Pulp abscess

Correct answer: 2. Axillary abscess

Explanation: Ans. is 'b' i.e., Axillary abscess * Hilton's method of abscess drainage is chosen when there are plenty of important structures like nerves and vessels around the abscess cavity, like axilla. In this method incision is made only through the skin and subcutaneous tissue. The deep fascia is not incised. A pair of artery forceps or sinus forceps is insinuated through the deep fascia into the abscess cavity. The blades are gradually opened to drain the pus.